Galactorrhoea is caused by:
1. Phenothiazines
2. Bromocriptine
3. Pyridoxine
4. None

Correct answer: 1. Phenothiazines